Bulls eye retinopathy is seen in toxicity of: (Repeat)
1. Chloroquine
2. Mefloquine
3. Primaquine
4. Quinine

Correct answer: 1. Chloroquine

Explanation: Ans A (Chloroquine) Ref: CMDT, 2013. pg 197Explanation:Adverse Effects of ChloroquineOcular- Irreversible retinal damage,CNS- Seizures. Tinnitus, Nerve deafnessGIT- Anorexia, nausea, vomitingSkin pigmentation